A 45-year-old P2L2 female has CIN grade III confirmed on papsmear and colposcopy. Best management:
1. Conization
2. LEEP
3. Cryosurgery
4. Hysterectomy

Correct answer: 2. LEEP

Explanation: Ans. is b, i.e. LEEPManagement of CIN-confirmed on colposcopy|||||CIN 1 persisting for >=2 years in female >=25 yearsCIN 2 and 3 at any age and any parityRecurrent CINCIN extending to vagina||||CryosurgeryLEEP/LLETZHysterectomyLaser